Mucinous cystadenoma of the ovary arises -
1. From cystic teratoma
2. From surface coelomic epithelium
3. From sex cord stromal cells
4. From ectopic mucin secreting glands

Correct answer: 2. From surface coelomic epithelium